The most important feature of delirium
1. Impaired judgement
2. Anxiety
3. Hyperactivity
4. Clouding of consciousness

Correct answer: 4. Clouding of consciousness

Explanation: The most conspicuous feature is a clouding of consciousness which ranges from mild dulling to deep coma delirium is a type of ORGANIC BRAIN SYNDROME it presents with clouding of consiousness the main cognitive function that is altered is attention impairment and disorientation the main hallucinations that presents in delirium is visual hallucinations the visual hallucinations sometimes presents lilliputian hallucinations, that is they can see small miniature animals and humans hitting them they have a phenomenon called as sun downing phenomenon, that is worsening of symptoms in the evening and night the delirium that is cahrecterstic of alcohol withdrawl is hyper active delirium it is also called as delirium tremens as it is assosiated with tremors.